Drug used in uncomplicated alcohol withdrawal ?
1. Diazepam
2. Clonidine
3. Propanalol
4. Methadone

Correct answer: 1. Diazepam

Explanation: Diazepam Medications used in Alcohol withdrawl The important point to emphasize about the treatment of Alcohol withdrawl is that it is caused by the removal of a CNS depressant i.e. Alcohol. So the withdrawl symptoms can be initially controlled by replacing alcohol with any other C.N.S. depressant drug and subsequently the dose of the C.N.S. depressant can be tapered, Most of the C.N.S. depressant drugs are effective but benzodiazepenes have the highest margin of safety and lowest cost and are therefore the preferred class of drugs. Most clinicians use long acting benzodiazepenes such as chlordiazepoxide or diazepam because short acting benzodiazepenes can produce rapidly changing blood levels. Enough dose of chlordiazepoxide is administered on day one to alleviate symptoms and then the dose is gradually decreased. Also know T/T of patients with delirium tremens in Alcoholic withdrawl The important point to consider about delirium tremens is that the course is likely to continue for 3-5 days. High doses of benzodiazepenes are used. Sometimes antipsychotic medications such as haloperidol, ziprasidone or olanzapine have been used. T/T of patients with alcohol withdrawl seizures Benzodiazepenes are used. Use of anticonvulsants is not indicated. Drugs used in Rehabilitation of Alcoholics: Naltrexone It is a opioid-antagonistic drug. It decreases the feeling of pleasure on ingestion of Alcohol. Acamprosate It inhibits NMDA receptors. Disulfiram It is .an ALDH inhibitor. It produces an unpleasant reaction in the presence of alcohol. Drinking alcohol while taking disulfiram produces a reaction involving an increased pulse changes in blood pressure, vomiting and diarrhoea.